Cause of death in the early period of burns?
1. Sepsis Hypovolemic
2. Hypovolemic Shock
3. Dyselectrolytemia
4. ARDS

Correct answer: 2. Hypovolemic Shock

Explanation: Ans-B Hypovolemic Shock Cause of death in burns Immediate - Asphyxia > Neurogenic shock Early - Hypovolemic shock Late - Septic Hypovolemic Overall - Septic shock